Causes of Hemobilia are All Except-
1. Trauma to Abdomen
2. Malignancy
3. Rupture of hepatic artery aneurysm
4. Hepatitis

Correct answer: 4. Hepatitis